Most common foreign body in Children in Esophagus
1. Coin
2. Food
3. Krayons
4. marbles

Correct answer: 1. Coin

Explanation: Ans. (a) CoinRef Bailey And Love 27th edition, Page 1073* Most common foreign body in esophagus in adult - Food bolus due to some underlying pathology causing narrowing* Most common foreign body in esophagus in children is coin* Most common site of foreign body impaction is cricopharynx